Atropine as preanesthesia has all effects except
1. Decrease secretion
2. Bronchoconstriction
3. Prevent bradycardia
4. Prevent hypotension

Correct answer: 2. Bronchoconstriction

Explanation: B i.e. Bronchoconstrictor